For monitoring of food standards in international market, standard followed is:-
1. Codex alimentarius
2. AGMARK
3. PFA (prevention of food adulteration act)
4. BIS

Correct answer: 1. Codex alimentarius

Explanation: (a) CODEX ALIMENTARIUS: The codex Alimentarius commission, which is the principal organ of the joint FAO/ WHO Food Standard Programme, formulates food standards for international market. The food standards in India are based on the standards of the codex alimentarius. (b) PFA STANDARDS: Prevention of Food Adulteration Act Standard by the "Central Committee of Food Standards". The purpose is to obtain a minimum level of quality of foodstuffs attainable under Indian conditions. (c) AGMARK STANDARDS are set by the Directorate of Marketing Inspection of the Government of India gives the consumer an assurance of quality in accordance with the standards laid (d) BUREAU OF INDIAN STANDARDS: guarantee of good quality accordance with the standards prescribed by the Indian Standards